Species of Anopheles causing malaria in Andamon & Nicobar island ?
1. Anopheles stephensi
2. Anopheles dirus
3. Anopheles culicifacies
4. Anopheles epiroticus

Correct answer: 4. Anopheles epiroticus

Explanation: Ans. is 'd' i.e., Anopheles epiroticus Vector for malaria is female anapheline mosquito.There are six primary vectors of malaria in India : ?An. culicifacies : - It is the main vector in rural and periurban areas.An. Stephensi : - Responsible for malaria in urban and industrial areas.An fluvitalis : - Main vector in hilly areas, forests and forests fringes, especially in the east.An. minimum : - Vector in the the foot hills of North-Eastern states.An. dirus : - Vector in the forest of North-East.An. epiroticus : - Restricted to Andaman and Nicobar Islands.